Which of the following is not seen in undescended testis
1. Hydrocele
2. Hernia
3. Teratoma
4. Seminoma

Correct answer: 1. Hydrocele

Explanation: Answer is hydrocele because: These are the complications of undescended testis 1) Malignant transformation in undescended testis is 20 times more than normally descended testis, most common being Seminoma. 2)An associated indirect inguinal hernia (70%). 3) Sterility, Torsion testis and testicular atrophy 4)Epididymo-orchitis Reference : SRB's Manual of Surgery, 6th Edition, page no = 1066.